Aphthous ulcers known as
1. Canker sores
2. Marjolin's ulcer
3. Curling's ulcer
4. Cushing ulcers

Correct answer: 1. Canker sores

Explanation: (Canker sores) (554,114, 211, 564, HM) (580- Basic pathology 8th)* Aphthous ulcers (Canker sores) - Commonest form of painful oral ulcers* In shock due to burns, acute stress ulcers of the stomach or duodenum may occurs and are known as Curling's ulcer* Squamous cell carcinoma developing in an old bum scar (Marjolin's ulcer)* Intra cranial lesion e.g. Head injury (Cushing ulcers developing from hyper acidity following vagal stimulation)